Investigation of choice for acute head injury
1. NCCT brain
2. MRI
3. X-ray
4. USG

Correct answer: 1. NCCT brain

Explanation: Ans. A. NCCT brain* CT is the investigation of choice to identify acute intracranial bleed and hence is the preliminary investigation in acute head injury.* Investigation of choice for brain hemorrhage is NCCT brain* Investigation of choice for calcification is NCCT Brain* Other than above three pathology investigation of choice for neurological lesion is MRI.Investigation of choice in Neurology* Investigation of choice for optic neuritis is MRI* Investigation of choice for vestibular schwannoma is MRI* Investigation of choice for Multiple sclerosis is MRI* Investigation of choice for hippocampal volumetry is MRI* Investigation of choice for viral encephalitis is MRI* Investigation of choice for Pituitary adenoma is MRI* Investigation of choice for Spinal cord tumor is MRI* Investigation of choice for Neurofibroma is MRI* Investigation of choice for hemorrhagic stroke is NCCT brain* Investigation of choice for ischemic stroke is diffusion weighted MRI* Investigation of choice for Stroke is NCCT brain (since initially, we have to rule out hemorrhagic stroke).